True about methanol poisoning is all except -
1. Critical level is 1.25ml\/kg body wt.
2. Fomepizole competitively inhibits aldehyde dehydrogenase
3. Formic acid is mainly responsible for toxicity
4. Methanol causes snow field vision

Correct answer: 2. Fomepizole competitively inhibits aldehyde dehydrogenase

Explanation: Fomepizole competitively inhibits alcohol dehydrogenase REF;THE SYNOPSIS OF FORENSIC MEDICINE:KS NARAYANA REDDY;28th EDITION;PAGE NO 333